Which is the drug of choice for prophylaxis of meningococcal meningitis in pregnancy:
1. Penicillin
2. Ceftriaxone
3. Rifampicin
4. Ampicillin

Correct answer: 2. Ceftriaxone

Explanation: N. meningitidis is dangerous because it can cause Waterhouse Friderichsen syndrome & Addisonian crisis So, chemoprophylaxis is recommended Ceftriaxone as a single IM or IV injection is highly effective in carriage eradication and can be used at all ages and in pregnancy